Furosemide causes all except:
1. Hyperglycemia
2. Hypomagnecemia
3. Hypokalemia
4. Acidosis

Correct answer: 4. Acidosis

Explanation: Furosemid is a high efficacy diuretic. they inhibit Na-K-2CL co transport at the thick ascending limb of loop of henle. Nausea, vomiting and diarrhoea may occur with any diuretic.Headache, giddiness, weakness, paresthesias,impotence are occasional complaints with thiazides as well as loop diuretics. Complications of high ceiling and thiazide diuretics 1. Hypokalemia 2. Acute saline depletion 3. Dilutional hyponatremia 4. Hearing loss 6. Hyperuricemia 7. Hypercalcemia 8. hyperglycemia and hyperlipidemia 9. Magnesium depletion- mg lost in the urine 10.metabolic alkalosis in the body- due to increased excretion of chloride and hydrogen ions Thiazides also produce metabolic alkalosis carbonic anhydrase inhibitors and potassium-sparing diuretics produce metabolic acidosis ( Essentials of Medical Pharmacology, K.D Tripathi,6th edition )